Menkes's kinky hair disease occurs due to
1. Low zinc levels
2. Low copper levels
3. Low Iron levels
4. Low flouride levels

Correct answer: 2. Low copper levels

Explanation: Menkes Disease * XLR, ATP7A mutation, encodes ATP-dependent copper transporter * | Serum copper levels, pili torti (most common), trichorrhexis nodosa, short brittle 'steel wool' hair, sparse eyelashes/eyebrows, cupid's bow upper lip, progressive CNS deterioration, seizures, tortuous arteries. Ref:- Sima Jain; pg num:- 79